Not true regarding corneal stroma
1. Measures 500 um
2. Type 1 collagen is most abundant, type 4 & 6 also found
3. Transmits 90% of incoming light
4. Derives its oxygen from aqueous humor

Correct answer: 4. Derives its oxygen from aqueous humor

Explanation: Corneal Stroma * Thickest layer of the cornea * Measures 500 um * Type 1 collagen is most abundant, type 4 & 6 also found.Type 2 collagen is not found * Transmits 90% of incoming light * Derives its oxygen from precorneal tear film and not aqueous humor * MMP 2 is found in human stroma * Acellular & lamellar orientation of collagen fibres accounts for its transparency